Looser's zones are seen in which of the following ?
1. Osteomalacia
2. Paget's disease
3. Renal osteodystrophy
4. All of the above

Correct answer: 4. All of the above

Explanation: Condition where milkman's fracture may be seen *Rickets/osteomalacia *Renal osteodystrophy *Paget's disease *Fibrous dysplasia *Hereditary hyperphosphatasia *Idiopathic Looser's Zone ( Milkman's Pseudofractures ) Pathognomonic * Looser zones are radiolucent lines that are often penetrating through the cortex perpendicular to the shaft and are most often seen in the medial cortices of the femurs and in the pelvis and ribs, neck of scapula. Caused by rapid resorption and slow mineralisation / Looser's zone. * Linear areas of undermineralized osteoid that occur in a bilateral and symmetric distribution * Characteristic sites; inner margins of femoral neck, proximal ulna, axillary margin of the scapula, pubic rami, and ribs. * Differential diagnosis: ; Paget's disease or fibrous dysplasia. ref : maheswari 9th ed